Which of the following anti leprosy drugs is used in treatment of type 2 lepra reaction:
1. Clofazimine
2. Dapsone
3. Rifampicin
4. None of the above

Correct answer: 1. Clofazimine

Explanation: Clofazimine is also effective for Type 2 reaction but is less potent than corticosteroids and often takes 4-6 weeks to develop its full effects, so it should never be started as the sole agent for the treatment of recurrent Type 2 reaction. However, clofazimine may be extremely useful for reducing or withdrawing corticosteroids in patients who have become dependent on them. Ref: